Adoption of values of some others and make them a part of yours is known as:-
1. Acculturation
2. Internalization
3. Culture
4. Customs

Correct answer: 2. Internalization

Explanation: Acculturation: Is 'cultural contact' or mixing of two cultures. Internalization: Adoption of values of some others and make them a part of yours. Culture: is the learned behavior which is socially acquired . Customs: The established patterns of behavior that can be objectively verified within a particular social setting.